A 30 year old female wears contact lens for 2 months continuously. The symptoms she experiences therafter could be due to all except
1. Giant Papillary conjunctivitis
2. Microbial keratits
3. Increased sensitivity
4. Open angle glaucoma

Correct answer: 4. Open angle glaucoma

Explanation: Answer- D. Open angle glaucomaCorneal complications : - Corneal abrasion, Corneal edema, Corneal vascularization, Microbial keratitis (pseudomonas, acanthamoeba), Sterile corneal infiltrateGiant papillary conjunctivitisHypoxia : - Cornea b deprived of oxygen from the tear film by the presence of the contact lens. The cornea becomes edematous and new vessels may develop in the limbal area.